The advantage of using digoxin in CHF is:
1. It is used to provide relief of symptoms
2. It reverses the pathological changes of CHF
3. It prolongs the survival of CHF patient
4. All of these

Correct answer: 1. It is used to provide relief of symptoms

Explanation: Digitalis and diuretics are used as symptomatic' therapy of CHF. These drugs do not retard ventricular remodelling or prolong survival in CHF patients.